A rugby player hit his head on the post whilst involved in a tackle. He was unconscious for 5 min but regained full consciousness and sat on the sideline until the end of the game. He was then noted to be drowsy and over the past 30 min became confused and no longer obeyed commands. Most likely diagnosis is:
1. Extradural hematoma
2. Subdural hematoma
3. Subarachnoid hematoma
4. Cerebral edema

Correct answer: 1. Extradural hematoma

Explanation: Ans. Extradural hematoma